Lesions within the basal ganglia produce the following signs except:
1. Hypotonia
2. Tremor
3. Hemiballismus
4. Athetosis

Correct answer: 1. Hypotonia